After an overnight fasting, levels of glucose transporters are reduced in which of the following cell?
1. Brain cells
2. Hepatocytes
3. Adipocytes
4. RBCS

Correct answer: 3. Adipocytes

Explanation: Transport of glucose across a cell membrane occurs by facilitated diffusion. By this means of transport glucose is transported down the concentration gradient. This transport is accomplished by different isoforms of a super family of hydrophobic, integral membrane proteins referred to as glucose transporters. GLUT4 receptors are found on skeletal muscle, cardiac muscle and adipocytes. This receptor is dependent on insulin. During fasting, level of insulin in the blood is low, which in-turn reduce the number of GLUT4 receptors. Ref: Applied Physiology in Intensive Care Medicine By Brochard, Jordi Mancebo, Page 2170; Bioenergetics Primer for Exercise Science By Jie Kang, Page 119